In serial extraction procedure if maxillary 1st premolar is extracted then maxillary canine erupts in direction
1. Downward
2. Downward-backward
3. Downward-forward
4. Forward

Correct answer: 2. Downward-backward